Which of the following amino acids have side chains that are negatively charged under physiological conditions?
1. Aspartic acid
2. Histidine
3. Tyrosine
4. Serine

Correct answer: 1. Aspartic acid

Explanation: The side chains of the acidic amino acids, aspartic acid and glutamic acid, are negatively charged above pH 3; in their ionized state, they are often referred to as aspartate and glutamate. Asparagine and glutamine are, respectively, the amides of aspartic acid and glutamic acid. Ref: Voet Fundamentals of Biochemistry 4th Edition Pg no 82.